The vanity of mesencephalic brain vesicle is
1. Lateral ventricle
2. Third ventricle
3. Fourth ventricle
4. Cerebral aqueduct

Correct answer: 4. Cerebral aqueduct

Explanation: The cerebral aqueduct, (aqueductus mesencephali, mesencephalic duct, sylvian aqueduct, or aqueduct of Sylvius), is within the midbrain. It contains cerebrospinal fluid (CSF), and connects the third ventricle to the fourth ventricle, located dorsal to the pons and ventral to the cerebellum Ref: guyton and hall textbook of medical physiology 12 edition page number: 841,842,843